Not seen in hyperparathyroidism
1. Increase in serum calcium
2. Increase in serum calcitonin
3. Subperiosteol resorption of phalanges
4. Increase in 24 hr urinary calcium excretion > 250

Correct answer: 2. Increase in serum calcitonin